Treatment of nasoalveolar cyst is?
1. Aspiration
2. Excision
3. Cautery
4. Laser

Correct answer: 2. Excision

Explanation: Ans. is 'b' i.e., EncisionNasoalveolar cyst (nasolabial cyst) is a developmental cyst arising outside the bone in the nasolabial below alae nasi.It presents as smooth bulge or swelling of upper lip lateral to midline. It is painless, except in secondary infection.Nasoalveolar cyst are excised by sublabial approach.